Which of the following is ester local anesthetics -
1. Cocaine
2. Lidocaine
3. Mepivacaine
4. Prilocaine

Correct answer: 1. Cocaine

Explanation: Local Anaesthetics are divided in two group Aminoamide and Aminoesters Aminoester - short acting - cocaine , procaine and chloroprocaine long acting - Benzocaine and Tetracaine Aminoamide - intermediate acting - lignocaine , prilocaine ,mepivacaine long acting - Bupivacaine , Ropivacaine , Dibucaine Aminoester Local Anesthetics: They are unstable in solution and they are metabolized by plasma cholinesterase CNS lacks esterase enzymes and so intrathecally injected local anesthetics are metabolized only after diffusion to the blood. More incidence of allergic reactions. Aminoamide Local Anesthetics: They are stable in solution and undergo enzymatic degradation in the liver. Allergic reactions are rare. Exceptions to the above: cocaine is an amino ester but is metabolized by hepatic carboxylesterase and articaine (an amide) is inactivated by plasma carboxylesterase.